All of the following constitute the Charcot's Triad except
1. Pain
2. Septic Shock
3. Jaundice
4. Fever

Correct answer: 2. Septic Shock

Explanation: Charcot's triad comprises of: Pain abdomen Jaundice Fever with Chills Presence of the triad indicates cholangitis Note: Reynolds's pentad - Charcot's triad + Septic Shock+Mental status changes Ref Bailey and love 27e Topic -gallbladder p1188